Paracervical block relieves pain from all of the following except
1. Pain from dilatation of the cervix
2. Uterine pain
3. Relieves pain from the lower third of vagina and episiotomy can be performed
4. Relieves pain from the upper third of vagina

Correct answer: 3. Relieves pain from the lower third of vagina and episiotomy can be performed

Explanation: Paracervical nerve block : Given at the end of the first stage of the labor It is injected at the site of the cervix, given on both sides It can be repeated to relieve pain Fetal bradycardia is the known complication. Ref: Dutta Obs 9e pg 480.